Gemfibrozil mechanism of action is ?
1. HMG CoA reductase inhibitor
2. Activates lipoprotein lipase
3. Inhibitor of lipolysis
4. Bile acid sequestrant

Correct answer: 2. Activates lipoprotein lipase

Explanation: Ans. is 'b' i.e., Activates lipoprotein lipase